Cholera transmission by -a) Food transmitsb) Vaccination gives 90% efficiencyc) Healthy carrierd) Chlorination is not effective
1. a
2. bc
3. ac
4. b

Correct answer: 3. ac